Consider the following statements regarding the root of the mesentry: It is 30 cm long Extends from the duodenojejunal flexure to right sacroiliac joint. Left ureter and psoas major are crossed by the root of the mesentry Superior mesentric artery and vein are its contents
1. Statement 1 is false
2. Statements 1 and 4 are false
3. Statements 1 and 3 are false
4. Statements 1,2 and 4 are true

Correct answer: 3. Statements 1 and 3 are false

Explanation: The root of the mesentry is the attachement of the mesentry of the small intestine to the posterior abdominal wall. It runs diagonally from the duodenojejunal flexure on the left side of L2 vertebral body to the rightsacroiliac joint. Dimensions of the root the mesentry The average length of the root of the mesentry is 15cm. The average breadth of the mesentry from the root to the intestinal border is 20 cm. The length of intestinal attachement measures approximately 5 to 6 meters (same as the length of the small intestines) Structures crossed by the root of the mesentry include: The third part of the duodenum Abdominal aorta Inferior vena cava Right ureter Right psoas major Contents of the mesentry include Superior mesentric vessels (jejunal and ilieal branches) Lymphatics and regional lymph nodes. Nerves related to the superior mesenteric plexus Connective tissue and fat. Ref: Gray's Anatomy 41st edition Pgno: 1104